The source of HCG is :
1. Syncytiotrophoblast
2. Cytotrophoblast
3. Langhan's layer
4. Chorionic villi

Correct answer: 1. Syncytiotrophoblast

Explanation: Syncytiotrophoblast